Epithelium lining of lingual surface of epiglottis is
1. Simple Columnar
2. Pseudostratified ciliated columnar
3. Simple Cuboidal
4. Stratified squamous epithelium

Correct answer: 4. Stratified squamous epithelium

Explanation: Stratified squamous epithelium is present in pharynx, lingual surface of epiglottis which is non keratinised in nature whereas in laryngeal surface of epiglottis it is lined by pseudostratified ciliated columnar epithelium (respiratory epithelium).